Indications of prophylactic cholecystectomy are all except
1. Diabetes
2. Hemoglobinopathy
3. Gallstone size >3 cm
4. Porcelain GB

Correct answer: 1. Diabetes

Explanation: Diabetes Mellitus Patients with diabetes may have a higher incidence of gallstones from the indirect effects of the metabolic syndrome, obesity, and a family history of gallstones No data show worse evolution of asymptomatic cholelithiasis in diabetes, and prophylactic cholecystectomy in asymptomatic gallstones carriers with diabetes is not recommended Ref: Blumgart 5th edition Pgno : 486